Commonest cause of Cushings syndrome is
1. Adrenal adenoma
2. Carcinoma
3. Atrophy
4. Hyperplasia

Correct answer: 4. Hyperplasia

Explanation: In most cases, the cause is bilateral adrenal hyperplasia due to hypersecretion of pituitary ACTH or ectopic production of ACTH by a nonpituitary source.